Which virus given below is not a teratogenic virus?
1. Rubella
2. Cytomegalovirus
3. Herpes simplex
4. Measles

Correct answer: 4. Measles

Explanation: the virus may cross the placenta and infect the fetus in maternal measles but thwre is no evidence for teogenecity REF:ANANTHANARYANAN TEXT BOOK OF MICROBIOLOGY 9EDITION PGNO.513